Increased anion gap is seen in all except?
1. Fistula
2. Starvation
3. Ethylene glycol poisoning
4. Phenformin

Correct answer: 1. Fistula

Explanation: Fistula- normal anion gap is seen CAUSES OF NON ANION GAP METABOLIC ACIDOSIS(NAGMA)